In metabolism of xenobiotics, all of the following reactions occur in phase one EXCEPT ?
1. Oxidation
2. Reduction
3. Conjugation
4. Hydrolysis

Correct answer: 3. Conjugation